5 year old child presents with reduces urine output since 1 day and petechial spots all over the body, there was history of diarrhea 2 weeks brier to this. Blood investigation showed Hb - 7gm / dl, TLC - 11,000 / MM3. PLATELET COUNT  - 20.000/ mm3, peripheral smear of this child is given below. what is the most probable diagnosis?
1. Malaria
2. Idiopathic thrombocytopenic purpura
3. Acute tubular necrosis
4. Hemolytic uremic syndrome

Correct answer: 4. Hemolytic uremic syndrome

Explanation: Peripheral smear shows schistocytes. there is reduced platelet count, petechial spots over body, history of diarrhea was 2 days prior to oliguria. All these points towards hemolytic uremic syndrome.